Western blot is used for ?
1. DNA
2. RNA
3. Sugar
4. Protein

Correct answer: 4. Protein

Explanation: Ans. is 'd' i.e., ProteinVisualization of a specific DNA or RNA fragment among the many thousand of contaminating molecules requires the convergence of number of techniques collectively termed the blot transfer.